The following are features of primary hyperladosteronism EXCEPT:
1. Polyuria
2. Hypertension
3. Hypokalemia
4. Hyperkalemia

Correct answer: 4. Hyperkalemia

Explanation: Ans. D i.e. Hyperkalemia Conn's syndrome 3asic pathology: Hyperaldosteronism Features: - Hypertension, - Decreased K., - I-olyuria, - Poiydypsia and - Proximal myopathy